Upon evaluation of an immediate postoperative panoramic film of a dental implant replacing tooth #30, you measure a distance of 1.5 mm from the apex of the implant to the inferior alveolar nerve canal. This is a titanium implant in an otherwise healthy patient. Which of the following actions is indicated?
1. You may proceed with immediate loading of the implant.
2. You should continue but only perform a two-stage procedure.
3. Back the implant out approximately 0.5 mm to ensure a safe distance from the nerve.
4. Remove the implant and plan a repeat surgery after 4 months of healing.

Correct answer: 3. Back the implant out approximately 0.5 mm to ensure a safe distance from the nerve.

Explanation: Implants should be placed a minimum of 2 mm from the inferior alveolar canal.